What is Golfers elbow -
1. Medial epicondylitis
2. Lateral epicondylitis
3. Posterior elbow dislocation
4. Lateral collateral ligament injury

Correct answer: 1. Medial epicondylitis

Explanation: Medial epicondylitis is known as Golfer's elbow. It is the inflammation at the origin of flexor tendons at the medial epicondyle of the humerus Reference-Essential orthopaedics - Maheshwari-5th edn-pg no 302